An 8-year old child was brought to you for a high grade fever of 3 days duration with vomiting headache and decreased responsiveness. Examination revealed a distressed child , in shock with maculopapular and ecchymotic rashes on the skin with bleeding from venepuncture sites and hepatomegly. Investigation showed PCV = 65%, WBC 4000, platelet 25000 & mildly prolonged PT. CXR revealing left sided pleural effusion. Diagnosis is ?
1. Meningococcemia with DIC
2. Dengue heamorrhagic fever
3. Leptosporisis
4. Complicated malaria

Correct answer: 2. Dengue heamorrhagic fever

Explanation: Generalized body aches, high grade fever followed by clinical deterioration and bleeding diathesis with raised hematocrit (65%) and low platelet and leucopenia strongly suggest dengue haemorrhagic fever, although meningococcemia is always a close diagnosis and many times requires serological confirmation. Complicated malaria usually has anemia and splenomegaly Leptospirosis may occur in icteric as well as nonicteric form. In nonicteric form shock and skin rashes are uncommon. Prominent features are severe myalgias and exquisite tenderness.